Malti a 45 year old female patient with a family history of breast carcinoma, showed diffuse microcalcification on mammography, Intraductal carcinoma is insitu was seen on biopsy. Most appropriate management is:
1. Quandrandectomy
2. Radical mastectomy
3. Simple mastectomy
4. Chemotherapy

Correct answer: 3. Simple mastectomy

Explanation: Breast carrcinoma Treatment: A. Early Invasive Breast carcinoma (Stage I, IIA, IIB): Mastectomy+ Axillary LN status assessement BCT+ Axillary LN status assessment+ If sentinel LN cannot be identified or found to harbour metastasis disease, axillary LN dissection (Level I+II) should be done. Simple or Total mastectomy: Removal of breast tisuue, nippple-areola complex, & skin. Ref: Sabiston 20th edition Pgno: 853